OPV can be used if vaccine l monitor is showing?
1. Colour of outer circle is same as inner square
2. Colour of outer circle is darker than inner square
3. Colour of outer circle is lighter than inner square
4. None of the above

Correct answer: 2. Colour of outer circle is darker than inner square

Explanation: Ans. is 'b' i.e., Colour of outer circle is darker than inner square